Feces are disinfected best by -
1. 1% formaldehyde
2. 5% cresol
3. 5% phenol
4. Isopropyl alcohol

Correct answer: 2. 5% cresol

Explanation: Ans. is 'b' i.e., 5% cresol "The most effective disinfectant for general use is a coal-tar disinfectant with a Rideal-Walker (RW) coefficient of 10 or more such as cresol ".- Park 250Agents suitable for disinfection of faeces and urineDisinfectantAmount per litrePercent1 Bleaching powder2 Crude phenol3 Cresot4 Formalin50g100 ml50 ml100 ml510510